In young person most common cancer among following is:
1. Giant cell
2. Osteosarcoma
3. Chondrosarcoma
4. Ewing sarcoma

Correct answer: 2. Osteosarcoma

Explanation: Ans. b. OsteosarcomaOsteosarcoma is the second most common tumour.These tumours occur b/w the ages of 15-25 years, constituting the commonest musculo-skeletal tumour at that age